Which of the following is true regarding lattice formation?
1. Associated with precipitation and not agglutination
2. Associated with agglutination and not precipitation
3. Associated with both
4. Neither associated with precipitation nor agglutination

Correct answer: 3. Associated with both

Explanation: Marrack proposed the lattice hypothesis to explain the mechanism of precipitation. Precipitation results when a large lattice is formed consisting of alternating antigen and antibody molecules. This is possible only in the zone of equivalence. The lattice hypothesis holds good for agglutination also.Ref: Ananthanarayan 9th edition, p105